Chronic treatment with tamoxifen can cause carcinoma of:-
1. Ovary
2. Endometrium
3. Cervix
4. Vulva

Correct answer: 2. Endometrium

Explanation: TAMOXIFEN Tamoxifen is effective in Estrogen Receptor (ER) positive breast carcinoma but some ER negative tumors also respond to tamoxifenQ. Potent antagonist in breast carcinoma cells, blood vessels and at some peripheral sitesQ Partial agonist in the pituitary, bone, uterus and liver (Pit Bul) Adverse Effects of Tamoxifen Hot flushes, nausea & vomiting (MC)Q Menstrual irregularitiesQ, vaginal bleeding, discharge, pruritus vulvae & dermatitis Endometrial cancerQ ThromboembolismQ CataractQ Retinal deposits & decreased visual acuityQ